In myasthenia gravis, antibodies are present against:
1. Muscarinic receptor proteins
2. Nicotinic receptor proteins
3. Protein actin
4. Protein myosin

Correct answer: 2. Nicotinic receptor proteins

Explanation: Ans. B i.e. Nicotinic receptor proteins Myasthenia gravis It is an autoimmune neuromuscular disease leading to fluctuating muscle weakness and fatigability. It is an autoimmune disorder, in which weakness is caused by circulating antibodies that block acetylcholine receptors at the postsynaptic neuromuscular junction, inhibiting the excitatory effects of the neurotransmitter acetylcholine on nicotinic receptors throughout neuromuscular junctions. Myasthenia is treated medically with acetylcholinesterase inhibitors or immunosuppressants, and, in selected cases,thymectomy.